Vagina develops from -
1. Mesonephric duct
2. Paramesonephric duct
3. Wolffian duct
4. Ectoderm

Correct answer: 2. Paramesonephric duct

Explanation: Ans. is 'b' i.e., Paramesonephric duct o Vagina is derived from two sources:-i) Upper 2/3rd: It is derived from Utero-Vaginal Canal, i.e. the fused part of paramesonephric duct. Therefore, this part is mesodermal in origin.ii) Lower l/3rd: It is derived from sinovaginal bulb which intum is derived from urogenital sinus. Thus, this part is endodermal in origin.